Which of the following is live attenuated vaccine-
1. Salk polio vaccine
2. Sabin polio vaccine
3. Rabies vaccine
4. KFD vaccine

Correct answer: 2. Sabin polio vaccine

Explanation: Ans. is 'b' i.e., Sabin polio vaccineo Vaccine is an immuno-biological substance designed to produce specific protection against a given disease. It stimulates the production of protective antibody and other immune mechanisms. Vaccine may be of following types:-1) Live vaccines# Live vaccines are produced by organisms which are alive but there pathogenicity (virulence) is reduced. Thus these vaccines are called "live attenuated vaccines".# Important examples of live vaccines are BCG, OPV (Sabin oral polio vaccine), measles, mumps, rubella, yellow fever (17D vaccine), typhoid oral (typhoral), chicken pox, influenza, plague, epidemic typhus and hepatitis A.2) Killed vaccines (Inactivated vaccines)# Killed vaccines are prepared by killing (or inactivating) the organism by heat or chemical.# Important killed vaccines are pertussis (whooping cough), IPV (injectable polio vaccine/salk vaccine), cholera, typhoid, plague, influenza, Japanese encephalitis, KFD, meningococcal meningitis, hepatitis A, and rabies.